Dependant viscera sign is seen in?
1. Diaphragmatic rupture
2. Fracture Bronchus
3. Pneumoperitoneum
4. Diaphragmatic hernia

Correct answer: 1. Diaphragmatic rupture

Explanation: *Dependent viscera sign is seen in Diaphgramatic Injury *Viscera lie against the posterior ribs with obliteration of posterior costophrenic recess on a CT The Dependent Viscera Sign